Which is false in Congenital Hypopituitarism?
1. Growth hormone level < 7 ng/ml
2. Hypoglycemia
3. Baby small at birth
4. Delayed puberty

Correct answer: 3. Baby small at birth

Explanation: Ans. is 'c' i.e., Baby small at birth